Pregnant women in 1st trimester is given that she does not stick to. Baby born with hydrocephalus infection was by:
1. HSV
2. Treponema
3. toxoplasma
4. CMV

Correct answer: 3. toxoplasma

Explanation: Toxoplasmosis is caused by T.gondii,obligate intracellular parasite. The majority of congenitally affected babies are asymptomatic at birth. Severely affected babies may exhibit the classical tetrad of hydrocephalus or microcephaly chorioretinitis convulsions Cerebral calcification. Presence of IgM anyibody in the neonated indicates congenital infection. IgG transmitted from the mother persists for many years. Refer page no 294 of Text book of obsteics,sheila balakrishanan,2 nd edition. Dc.Duttas textbook of obg,9th edition,page 278